Which of the finding is not found in hypothyroidism?
1. Low T3
2. High triglycerides
3. Low cholesterol
4. High TSH

Correct answer: 3. Low cholesterol

Explanation: Hypothyroidism may be an underlying cause of elevated cholesterol levels, and thyroid replacement therapy can reverse this finding. Laboratory findings in hypothyroidism may include increased skeletal muscle-associated isoenzymes like creatine phosphokinase and lactic dehydrogenase, elevated total and LDL cholesterol, lipoprotein (a) levels, triglycerides, hyperprolactinemia, hyperhomocysteinemia, and normocytic or macrocytic anemia. Serum triiodothyronine (T3) concentrations also decline, but are not frankly low until hypothyroidism is severe due to compensatory increase in thyroidal T3 secretion and hepatic T4-T3 conversion. Serum TSH can be elevated. Ref: Werner & Ingbar's The Thyroid: A Fundamental and Clinical Text By Lewis E. Braverman, David Cooper, 2012, Page 607; Harrison's 17th ed chapter 337 (Table 335-5) ; CURRENT Medical Diagnosis and treatment Chapter 26. Endocrine Disorders.